Nerve of Latarjet is seen in ?
1. Thorax
2. Neck
3. Stomach
4. Heart

Correct answer: 3. Stomach

Explanation: Ans. is 'c' i.e., Stomach Nerve supply of stomach The stomach is supplied by sympathetic and parasympathetic system.The sympathetic nerves are derived from T6-T9 spinal nerve segments greater splanchnic nerves, and coeliac and hepatic plexus.Pain sensations from stomach are carried along sympathetic fibers.The parasympathetic nerves are derived from right vagus and left vagus which enter the abdomen as anterior vagal trunk (anterior gastric nerve) from left vagus and osterior vagal trunk (posterior gastric nerve) from right vagus. u Anterior vagal trunk gives : (i) Main gastric nerve of laterjet, (ii) Pyloric branch and (iii) Hepatic branch. u Posterior vagal trunk gives : (i) Nerve of Grassi to fundus, (ii) Coeliac branches, and (iii) Main gastric nerve of laterjet.